Which protein is defective in Becker muscular dystrophy?
1. Dystrophin
2. Actinin
3. Myotilin
4. Emerin

Correct answer: 1. Dystrophin

Explanation: In both Duchenne and Becker's gene encoding for Dystrophin is defective.
In Duchenne - Dystrophin is completely absent.
In Beckers - Dystrophin is decreased.